After the delivery of an infant of a diabetic mother, blood glucose of the infant was 60 mg/dl. Which other investigation would you except the clinician to do?
1. Serum Potassium
2. CBC
3. Serum Chloride
4. Serum Calcium

Correct answer: 4. Serum Calcium

Explanation: Serum calcium should be estiamated in this baby to rule out hypocalcemia. Infants of diabetic mothers are at high risk of developing Hypoglycemia Hypocalcemia Hypomagnesemia Hypocalcemia is defined as a total serum calcium concentration of less than 8 mg/dl for a term baby and less than 7 mg/dl for a preterm baby. Ref: Nelson textbook of pediatrics 21st edition Pgno: 913